Internal thoracic artery is a branch of -
1. 1st part of subclavian artery
2. 2nd part of subclavian artery
3. 3rd part of subclavian artery
4. Thyrocervical trunk

Correct answer: 1. 1st part of subclavian artery

Explanation: Ans. is 'a' i.e., 1st part of subclavian artery Ref: BDC Vol III 5th/e p. 179]Branches of subclav ian artery :-o 1st Part - Vertebral artery, internal thoracic artery, thyrocervical trunk, and on left side costocervical trunk,o 2nd Part -On right side costocervical trunk,o 3rd Part - Dorsal scapular artery.